Evacuation of the urinary bladder and stool with profuse sweating is a features of
1. Mass reflex
2. Positive supportive reaction
3. Labyrinthine righting reflex
4. Stretch reflex

Correct answer: 1. Mass reflex

Explanation: (Mass reflex) (210-Ganong 22nd) (683-84-Guyt 11th) (250-Ganong 23rd)MASS REFLEX - In chronic spinal animals, afferent stimuli irradiate from one reflex centre to another when even a relatively minor noxious stimulus is applied to the skin, if may irradiate to autonomic centres and produce evacuation of the bladder and rectum, sweating, pallor and blood pressure swings in addition to the withdrawl response* This distressing mass reflex can sometimes be used to give paraplegic patients a degree of bladder and bowel. They can be trained to initiate urination and defecation by stroking or pinching their thighs thus producing an intentional mass reflex.